As per GOLD criteria, COPD is termed very severe when FEV1 is
1. >=80% predicted
2. >=50% but <80%
3. >=30% but <50%
4. <30% predicted

Correct answer: 4. <30% predicted

Explanation: GOLD Criteria for Severity of Airflow Obstruction in COPDGOLD stageSeveritySpirometryIMildFEV1/FVC <0.7 and FEV1 >=80% predictedIIModerateFEV1/FVC <0.7 and FEV1 >=50% but <80%predictedIIISevereFEV1/FVC <0.7 and FEV1 >=30% but <50%predictedIVVery severeFEV1/FVC <0.7 and FEV1 <30% predictedRef: Harrison 19e pg: 1704